All of the following can cause SLE-like syndrome except:
1. Isoniazid
2. Penicillin
3. Hydralazine
4. Sulphonamide

Correct answer: 2. Penicillin

Explanation: Ans. (B) Penicillin(Ref: Harrison 18/e p2735)Important drugs causing SLE like syndrome include:S - SulfonamidesH - HydralazineI - IsoniazidP - Procainamide